All are benefits of spinal over epidural anaesthesia except
1. Fast onset
2. Dense block
3. Less chances of failure
4. Segmental block possible

Correct answer: 4. Segmental block possible

Explanation: Spinal anesthesia drug is put in CSF, it mixes with CSF and we get a dense and uniforms level block. Epidural, depending upon site of surgery accordingly we put epidural catheter and produce segmental block. Spinal anaesthesia - Local anesthetic deposited in subarchnoid space. Onset time - immediate Quantity of drug used in very minimal Drug used for spinal Anaesthesia is most commonly hyperbaric Local Anaesthetic/ heavy Local Anaesthetic Layers sequentially period for spinal - Skin- Subcutaneous fascia - Supraspinatus ligament -Interspinous ligament - Ligamentum flavum - Dura meter- Arachnoid mater - Subarachnoid space (return of CSF) Easy to do the procedure and incidence of failure in less as end point has visible interpretation in return of CSF Not used for Differential block. Fixed Duration of block and More haemodynamic imbalance